All are relevant in compartment syndrome, EXCEPT:
1. Fasciotomy
2. Splitting of tight pop cast
3. Reexploration
4. Exercise

Correct answer: 4. Exercise

Explanation: Exercise may increase intracompartmental pressure and muscle edema, so it is avoided in case of acute compartment syndrome. Ref: Tachdjian's Pediatric Orthopedics 3/e, Page 2139-77, 2060; Rockwood and Green's Fracture in Children 6/e, Page 543-86; Apley's 8/e, Page 596-99, 563-64; Watson Jones : Fracture and Joint injuries 6/e, Page 591-609.